Which of the following nerves has the best prognosis for repair after injury -
1. Ulnar
2. Radial
3. Median
4. Lateral popliteal

Correct answer: 2. Radial

Explanation: Ans. is 'b' i.e., Radial nerveRecovery potential after nerve repairExcellent :- Radial, Musculocutaneous, femoral, digital nervesModerate :- Median, Ulnar, TibialPoor :- Common peroneal (lateral popliteal)